Tumor of the uncinate process of pancreas affects which of the following vessel
1. superior mesenteric artery
2. Postal vein
3. Common hepatic story
4. Inferior mesenteric artery

Correct answer: 1. superior mesenteric artery

Explanation: ref : BD CHAURASIA